A patient of head injury, has no relatives & requires urgent cranial decompression; Doctor should
1. Operate without formal consent
2. Take police consent
3. Wait for relatives to take consent
4. Take magistrate consent

Correct answer: 1. Operate without formal consent

Explanation: A i.e. Operate with out formal consent